Mineralocorticoid acts on -
1. PCT
2. Loop ofhenle
3. Collecting duct
4. All of the above

Correct answer: 3. Collecting duct

Explanation: Ans. is 'C' i.e., Collecting duct Hormones that regulate tubular reabsorption Hormone Site of Action Effects Aldosterone Distal tubule (late), collecting tubule and duct |Nacl. H2O reabsorption. | K+ secretion. Angiotensin II Proximal tubule, thick ascending loop of Henle/distal tubule, collecting tubule. | Nacl. H2O reabsorption. | H+ secretion. Antidiuretic hormone Distal tubule/collecting tubule and duct | H2O reabsorption. Atrial natriuretic peptide Distal tubule/collecting tubule and duct | Nacl reabsorption. Parathyroid hormone Proximal tubule, thick ascending loop of Henle/distal tubule. | PO4 reabsorption | Ca++ reabsorption Note: Aldosterone is the major mineralo corticoid.